True about parotid tumor is all except
1. Facial nerve involvement indicates malignancy
2. Pleomorphic adenoma is MC variety
3. Malignant disease is MC Variety
4. Superficial parotidectomy is the treatment of choice

Correct answer: 3. Malignant disease is MC Variety

Explanation: Eight percent salivary neoplasms are in the parotids of which 80% are benign ; 80% of these are pleomorphic adenomas. Parotid tumours are common but only 20% are malignant.Facial nerve involvement -lower facial nerve palsy-(difficulty in closing eyelid,difficulty in blowing and clenching teeth) indicates malignancy.Superficial parotidectomy is done if only superficial lobe is involved. And 80% of tumours occur in superficial lobe. SRB,5th,414.